Treatment of metastatic disease in retinoblastoma is-
1. Chemotherapy
2. Enucleation
3. Radiotherapy
4. Cryo

Correct answer: 1. Chemotherapy

Explanation: *Treatment of choice for metastasis is chemotherapy. Ref: Wills Eye Hospital at las of clinical ophthalmology p.269.